Following statements regarding verapamil are true except:
1. It does not produce reflex tachycardia.
2. It is less potent as a coronary vasodilator.
3. It is contraindicated in patients with supraventricular tachycardia.
4. It can cause constipation.

Correct answer: 3. It is contraindicated in patients with supraventricular tachycardia.

Explanation: Verapamil is a calcium channel blocker that is more potent as a negative inotropic agent. It causes suppression of SA node. It is less potent as a coronary and peripheral vasodilator hence there is no reflex sympathetic overactivity and tachycardia. It has potent antiarrhythmic effect and is useful in treating supraventricular tachycardia. It also lowers the gastrointestinal motility and can cause constipation.